Shivering is controlled by
1. Medulla
2. Hypothalamus
3. Thalamus
4. Basal ganglia

Correct answer: 2. Hypothalamus

Explanation: Temperature Regulation Center: hypothalamic temperature regulation center acts as both a very sensitive sensory center (sensing brain temperature) and as an integration center, to maintain core temperature. Action: Compares input information on brain temperature (very sensitive) and skin temperature (less sensitive) with some "Reference" value or temperature ("Set Point"), and adjusts effectors to maintain actual temperature at the reference value (negative feedback loop). Fever: 1. Mechanism: Most common fevers are due to an increase in temperature regulation set point, due to agents called "pyrogens" pyrogen => hypothalamic set point increase 2. Pyrogenic Agents bacterial endotoxin bacterial debris antigen-antibody complexes neoplastic disease mechanical tissue trauma etc. 3. Body Temperature Changes a. Onset: actions to raise body temperature b. Termination: actions to lower temperature Ref: guyton and hall textbook of medical physiology 12 edition page number 856,857,858